Dose of clonidine in suppression test done for pheochromocytoma is?
1. 0-3 mg
2. 10 mg
3. 100 mg
4. 200 nig

Correct answer: 1. 0-3 mg

Explanation: clonidine suppression test is less sensitive so rarely used( Harrison 17 pg 2271)